Russel bodies are seen in -
1. Lymphocytes
2. Neutrophils
3. Macrophages
4. None of the above

Correct answer: 4. None of the above

Explanation: Russell's bodies are seen in Myeloma cells which consists of hyaline globules composed of synthesized immunoglobulin Reference: textbook of Pathology, 7th edition ,author Harsha Mohan, page number 362